All of the following are features of Friadreich's Ataxia, Except:
1. Prograssive Ataxia is the most common presentation
2. Cardiomyopathy is a common association
3. Diabetes mellitus may be associated
4. Extensor plantar with brisk lower limb reflexes.

Correct answer: 4. Extensor plantar with brisk lower limb reflexes.

Explanation: Answer is D (Extensor plantar with brisk lower limb reflexes): Friedreich's Ataxia, is characteristically associated with an extensor plantar response but absent lower limb reflexes. Lower limb reflexes are characteristically absent (in most patients) and not brisk. Cardiomyopathy is a common association seen in up to 90% of patients Diabetes mellitus may be associated in up to 25% of cases Progressive ataxia is the most common presenting symptom.